Which is not used in pasteurization ?
1. Phosphatase test
2. Methylene blue test
3. Coliform count
4. Standard plate count

Correct answer: 2. Methylene blue test

Explanation: Ans. is 'b' i.e., Methylene blue test